Impression tray for preliminary edentulous impression should be selected such that the edentulous stock tray is:
1. 5 mm larger than outside surface of ridge
2. 7 mm larger than outside surface of ridge
3. 3 mm larger than outside surface of ridge
4. None of the above

Correct answer: 1. 5 mm larger than outside surface of ridge

Explanation: An edentulous tray should be selected, such that it provides for 5mm of bulk of material over entire basal seat area.